Tiger mosquito is -
1. Anopheles
2. Mansonia
3. Aedes
4. Culex

Correct answer: 3. Aedes

Explanation: Ans. is 'c' i.e., Aedes AnophelesCulexAedesMansoniaBreedingHabito Clean watero Dirty water, e.g. stagnant drains, septic tank, cesspool, all types of water collection, i.e. polluted watero Artifical collection, e.g water in discarded tins, broken bottles, tree holes (stagnant water)o Water bodies containing aqualtic plant: Pistia stratiotesEggso Laid singlyo Laid in small cluterso Laid singlyo Laid in star o Boat shaped with lateral floatso Oval shaped, no lateral floateo Cigar shapedshaped clustersLarvaeo Rest parrallel to water surface (surface feeder)o Rest perpendicular to under- undersurface of watero Rest in dark bottom comero Rest attached to rootlets of plant o No siphon tubeo Siphon tube presento Siphon tube presento Siphon tube present o Palmate hair on abdomeno No Palmate hairo No Palmate hairo No Palmate hairPupaeo Siphon tube broad and shorto Siphon tube long and narrowo Siphon tube long and narrowo Siphon tube long and narrowAdultso Inclined at an angle to surfaceo Body exhibits 'hunch back' o Wings spottedo Wings unspottedo Wings unspottedo Wings unspotted. o Palpi long in both sexeso Palpi short in femaleo Palpi short in femaleo White stripes on black bodyo Palpi short in femaleFlight range3-5 kms11 kms< 100 metres (110 yard) Sophisticated mosquitoNuisance mosquitoTiger mosquito